Emperipolesis is typical histological finding in
1. Alcoholic hepatitis
2. Auto immune hepatitis
3. Viral hepatitis
4. Drug induced hepatitis

Correct answer: 2. Auto immune hepatitis

Explanation: Emperipolesis is the presence of an intact cell within the cytoplasm of another cell. It is a typical histological finding in autoimmune hepatitis.